A former from the sub-Himalayan region presents with multiple leg ulcers. The most likely causative agent is
1. Trichophyton rubrum
2. Cladosporium species
3. Sporothrix Schenckii
4. Aspergillus

Correct answer: 3. Sporothrix Schenckii

Explanation: Sporotrichosis is a chronic infection involving cutaneous, subcutaneous and lymphatic tissue. It is caused by Sporothrix schenckii. Pathogenesis: 1. Lesions on the exposed parts of the skin follow minor trauma. Nodules are first formed, followed by ulceration and necrosis of nodules. 2. From the lesions in skin and subcutaneous tissue, the infection can spread by lymphatic channels to lymph node and lymphatics are hardened and cord-like. Ref: Textbook of Microbiology, Ananthanarayan and Paniker; 9th edition